The age and sex structure of a population can be described by a
1. Life table
2. Correlation coefficient
3. Population pyramid
4. Bar chart

Correct answer: 3. Population pyramid

Explanation: The age and sex structure of a population are best represented by 'age pyramid'.Developing countries have a broad base and tapering top. Developed countries show a bulge in the middle and have a narrower base.Park 23e pg: 482